Drug of choice for trigeminal neuralgia is?
1. Chlorpromazine
2. Carbamezapine
3. Gabapentine
4. Fluoxetine

Correct answer: 2. Carbamezapine

Explanation: ANSWER: (B) CarbamezapineREF: Harrison's 17th ed chapter 371Drug of choice for trigeminal neuralgia - CarbamezapineIf drug treatment fails, surgical therapy should be offered. The most widely applied procedure creates a heat lesion of the trigeminal (gasserian) ganglion or nerve, a method termed radiofrequency thermal rhizotomy.Gamma knife radiosurgery is also utilized for treatmentA third surgical treatment, micro vascular decompression to relieve pressure on the trigeminal nerve as it exits the pons, requires a subocdpital craniotom